Most common cause of aortic aneurysm is ?
1. Atherosclerosis
2. Syphilis
3. Trauma
4. Congenital

Correct answer: 1. Atherosclerosis

Explanation: Ans. is 'a' i.e., Atherosclerosis